Which of the following is the strongest, densest and hardest of pure gold restorative material?
1. Cohesive gold foil
2. Electralloy
3. Goldent
4. Mat foil

Correct answer: 1. Cohesive gold foil

Explanation: Pure cohesive gold foil restorations will be the strongest, the densest, and the hardest of all types of direct gold restorations. This is due to the greater cohesion between the ingredient leaves (foil) in the completed cohesive gold foil restoration as compared to the ingredient particles of the precipitated gold restorations. Cohesive gold foil restorations will have fewer voids, fewer foreign bodies, and a lesser number of component ingredients (that must be joined together) than restorations made of precipitated gold.
Ref: Marzouk .page 399